The incision in which rectus abdominis muscle is cut transversely is :
1. Pfannenstiel
2. Maylard
3. Kerr
4. All of the above

Correct answer: 2. Maylard

Explanation: Ans. is 'b' i.e, MaylardMaylard Incision is a surgical incision in which a transverse cut is made on rectus abdominis muscle to allow wider access to the pelvic cavity. It is also called Mackenrodt incision.For gynaecological surgery, the skin incision is made 5-8 cm above the pubic symphysis.The rectus fascia and rectus muscles are transected. Care must be exercised at the lateral margin of the rectus muscle to ensure the integrity of the inferior epigastric artery and vein. The muscle is totally transected.